Erotomania is seen in:
1. Schizophrenia
2. Mania
3. Neurosis
4. Obsessive compulsive disorder

Correct answer: 1. Schizophrenia

Explanation: Erotomania (Delusions of Love) is usually seen in schizophrenia and delusional disorder. Patients with erotomania have a false belief that some one is in love with them. It is also known as de Clerambault syndrome/Fantasy lover syndrome. For example, a rickshaw puller claimed that Katrina Kaif is in love with him though he admitted that he has never met her.